In order to make an entry to a certain university, it is required  to pass a national test. The scores on this test are normally  distributed with a mean of 500 and a standard deviation of 100.  Aswin wants to be admitted to this university and he knows that  he must score better than at least 70% of the students who took  the test. Aswin takes the test and scores 585. Will he be admitted  to this university?
1. Yes because he scored better than 70% of the students
2. Yes because he scored better than 80% of the students
3. No because he scored lower than 60% of the students
4. No because he scored lower than 50% of the students

Correct answer: 2. Yes because he scored better than 80% of the students

Explanation: For X = 585, Z = (585 – 500) / 100 = 0.85 
The proportion P of students who scored below 585 is given by
P =  = 0.8023 = 80.23% 
Aswin scored better than 80.23% of the students who took the test and he will be admitted to this university.